In the case of dogbite the biting animal should be observed for at least -
1. 5 days
2. 10 days
3. 15 days
4. 3 weeks

Correct answer: 2. 10 days